Which of the following is false regarding plasmid
1. Circular genetic material
2. Double stranded DNA
3. Extra chromosomal
4. Synchronised with chromosomal multiplication

Correct answer: 4. Synchronised with chromosomal multiplication

Explanation: Plasmids contain their own signals for replication and can replicate independently.